Tricyclic antidepressants have all of the following actions except -
1. Anticholinergic action
2. MAO inhibition
3. Block 5-HT or NE reuptake
4. Causes sedation

Correct answer: 2. MAO inhibition

Explanation: Ans. is 'b' i.e., MAO inhibition o Tricyclic antidepressants (TCAS) are either NA + 5HT reuptake inhibitors (e.g. - Imipramine, Amitriptyline) or predominantly NA reuptake inhibitors (e.g. Desipramine, nortriptyline),o TCAs are not MAO inhibitors.o Adverse effects of TCFs are : anticholinergic side effects, sedation, mental confusion, weakness, increase appetite & weight gain, sweating & tine tremer, postural hypotension and cardiac arrhythmia.AntidepressantsA) Typicala. Tricyclic antidepressantsi) NA + 5HT reuptake inhibitors:- Imipramine, Trimipramine, Amitriptyline, Clomipramine.ii) Predominantly NA reuptake inhibitors:- Desipramine, Nortriptyline, Amoxapine, Reboxetine.b. Selective serotonin reuptake inhibitors:- Fluoxetine, Paroxetine, Sertaline, Citalopram, Scitalopram.B) Atypical:- Trazodone, Mianserine, Mitrazapine, Venalafaxin, Duloxetine, Tianeptine, Amineptine, Bupropion.C) MAO inhibitors:- Tranylcypramine, Meclobemide, Clorgyline.